Cause of infertility in Kartagener's Syndrome...?
1. Oligospermia
2. Asthenospermia
3. Undescended testis
4. Epididymis obstruction

Correct answer: 2. Asthenospermia

Explanation: Kartagener Syndrome/ Primary ciliary dyskinesia / Immotile ciliary syndrome Rare AR disorder in which there is a congenital absence of dynein arms (a protein structure associated with motility) in all body cilia It can lead to male factor infertility due to diminished sperm motility in males (Asthenospermia) Female can conceive because motility of the cilia of fallopian tube is distorted and not totally absent